Which is the investigation of choice for recurrent sinusitis?
1. MRI
2. CT scan
3. X-ray PNS Waters view
4. X-ray PNS Cadwells view

Correct answer: 2. CT scan

Explanation: Ans. is'b'i.e., CT scanCT scan is the investigation of choice for recurrent sinusitis.